Most common type of supracondylar fracture in children
1. Posteromedial extension
2. Posterolateral extension
3. Anteromedial flexion
4. Anterolateral flexion

Correct answer: 1. Posteromedial extension

Explanation: One of the most serious fractures in childhood. Caused by fall on an out stretched hand. Fracture line extends transversely through the distal metaphysis of humerus just above the condyles. The distal fragment may be displaced in the following directions: Posterior or backward shift Posterior tilt Proximal shift Medial or lateral shift Medial tilt Internal rotation Ref: Maheshwari and Mhaskar 6e pg 97